Investigation of choice for entrapment neuropathy is ?
1. CT SCAN
2. Clinical examination
3. Ulrasonography
4. EMG NCV

Correct answer: 4. EMG NCV

Explanation: Ans. is 'd' i.e., EMG NCV The diagnosis of mononeuropathy in entrapment neuropathy is based on electrodiagnostic studies (EMG/ NCV) and Magnetic resonance imaging (MRI). Entrapment neuropathy is a medical condition caused by entrapment and compression of a peripheral nerve wherever it traverses fibro-osseous tunnels. Sites of entrapment neuropathy are : - Carpal tunnel :- Median nerve (carpal tunnel syndrome) Cubital tunnel :- Ulnar nerve (cubital tunnel syndrome) Guyan's canal :- Ulnar nerve (Guyan's canal syndrome) Tarsal tunnel :- Posterior tibial nerve (Tarsal tunnel syndrome) Inguinal ligament :- Lateral cutaneous nerve of thigh (meralgia paraesthetica). Suprascapular notch :- Suprascapular nerve Neck of fibula :- Common peroneal nerve Fascial tunnel of superficial peroneal nerve :- Superficial peroneal nerve Arcase of Frohse :- Posterior interosseous syndrome Thoracic outlet :- Lower trunk of brachial plexus Compression in the foot :- Digital nerve (Morten's metatarsalgia)